In a sample of dsDNA, the molar ratio of Adenosine is 20%. From this information, tell the content of Cytosine?
1. 10
2. 20
3. 30
4. 40

Correct answer: 3. 30

Explanation: According to chargaff's rule in a ds DNA, the total purine content is equal to the pyrimidine content. Since =, so = 20% + = 20+20 = 40% + = 100-(+)= 100-40% =60% As = , so = 60/2 = 30% Chargaff Rule 1. Total number of purine (A+G) is equal to total number of pyrimidine (C+T) I.e. A + G / C + T = I 2. A = T or A/T = I 3. G= C or G/C = I 4. The numbers of (A+T) and (G+C) are only varibales, i.e., A + T [?] G + C If (A+T) > (G+C) then DNA is referre as (AT-type). If (G+C) > (A+T) then DNA is referred as (GC-type). Chargaff's Rule only applies to double-stranded DNA, due to the complementary base pairing that occurs between A-T and C-G.